All of the following are X-linked disorders except -
1. Emery-Dreifuss dystrophy
2. Becker's dystrophy
3. Duchenne's dystrophy
4. Myotonic dystrophy

Correct answer: 4. Myotonic dystrophy